Which of the following is not a feature of pseudotumor cerebri?
1. Vit A toxicity can cause it
2. Papilledema present
3. Normal CT scan
4. Seizure

Correct answer: 4. Seizure

Explanation: Seizures are not seen in pseudotumor cerebri. Patients with pseudotumor cerebri usually presents with headache, diplopia and other visual disturbances due to papilledema and abducens nerve dysfunction. CT scan shows normal size ventricles, lumbar puncture shows elevated CSF pressure but normal CSF . Reference: Current Medical Diagnosis and Treatment 2013, chapter 24.